Impedance audiometry is for pathology of-,
1. External ear
2. Middle ear
3. Mastoid air cell
4. Inner ear

Correct answer: 2. Middle ear

Explanation: Impedence autiometry is used to find the health or diseased status of middle ear.